Anti–vertigo drug which modulates calcium channels and has prominent labyrinthine suppressant property is :
1. Cyproheptadine
2. Cinnarizine
3. Clemastine
4. Cetrizine

Correct answer: 2. Cinnarizine